Hydrocution is:
1. Electrocution in water
2. Dry drowning
3. Drowning in cold water
4. Postmortem immersion

Correct answer: 3. Drowning in cold water

Explanation: Drowning in cold water